Maximum damage to DNA is caused by:
1. a-rays
2. 13-rays
3. 7-rays
4. 8-rays and UV rays

Correct answer: 1. a-rays

Explanation: A i.e. a-raysMaximum damage to DNA is caused by a- RaysQ. RadiationContentPenetrating Power Poorest-Q (1)Ionizing PowerMaximumQDamaging PowerMost damagingu-paicleHelium nuclei (i.e. 2 protons & 2neutrons)b-paicleEither high energy electron orantimatter counter part positronGreater than a-paicle (100)Lesser than a-paicle< a-paicleX-RayLow energy photonsQMore than [l-paiclesLesser than 13-particle<13-paicley-radiationVery high energy photonsQMore than X Rays (10000)i.e. Most PenetratineMinimum IonizineLeast damaging